Which of the following duodenal recesses has the inferior mesenteric vein in its free margin?
1. Superior duodenal recess
2. Paraduodenal recess
3. Inferior duodenal recess
4. Mesentric-parietal recess

Correct answer: 2. Paraduodenal recess

Explanation: Paraduodenal recess has the inferior mesentric vein in its right free margin. The fourth part of the duodenum and the duodenojejunal junction have several folds of peritoneum that give rise to many named recesses. They are probably formed during development due to minor aberrations of duodenal rotation and fixation. The duodena recess include: Superior duodenal recess lies directly to the fourth part of the duodenum, adjacent to L2 vertebrae , and behind a cresentric superior duodenal fold. Inferior duodenal recess lies to the left of the fourth part of the duodenum, adjacent to L3 vertebrae, behind a triangular inferior duodenal fold. Paraduodenal recess lies a little to the left and slightly behind the fouth part of the duodenum, behind a falciparum fold of peritneum. Its right free edge contains the inferior mesentric vein and ascending branch of the left colic artery. Retroduodenal recess is the largest among duodenal recesses. It lies behind the third and fourth parts of the duodenum in front of the abdominal aorta. It has a wide orifice flanked by the duodenalparietal folds of peritoneum. Mesentericoparietal recess lies just below the third part of the duodenum and forms a pocket in the upper part of the mesentry towards the right. It has a large, left facing orifice behind a fold of mesentry raised by the superior mesentric artery. Duodenojejunal recess lies to left of the abdominal aorta, between the duodenojejunal junction and the root of the transverse mesocolon. Ref: Gray's Anatomy 41st edition Pgno: 1108